Treatment of lepra reaction with acute neuritis is
1. Prednisolone
2. Thalidomide
3. Clofazimine
4. Dapsone

Correct answer: 1. Prednisolone

Explanation: Prednisolone is the drug of choice for treatment of lepra reaction with acute neuritis.